All the following can occur in a neonate for heat production except -
1. Shivering
2. Breakdown of brownfat with adrenaline secretion
3. Universal flexion like a fetus
4. Cutaneous vasoconstriction

Correct answer: 1. Shivering

Explanation: Ans. is 'a' i.e., Shivering "Always remember that newborn cannot produce heat by shivering." Thermogenesis in Newborn A newborn is more prone to develop hypothermia because of a large surface area per unit of body weight. o A low birth weight baby has decreased thermal insulation due to reduced subcutaneous and brown fat. Role of Brown fat in thermogenesis o A newborn baby is more prone to develop hypothermia because of large surface area per unit of body weight. o In infants brown fat is an important site of thermogenesis. It results in the so called non-shivering thermogenesis. o Brown fat is located around the adrenal glands, kidneys, nape of neck, interscapular and axillary region. o Metabolism of brown fat leads to heat production. o Blood flowing through the brown fat becomes warms and through circulation, transfers heat to other parts of the body. This mechanism of heat production is known as non shivering thermogenesis.